Process of deflouridation of water is
1. Nalgonda technique
2. Soaking
3. Sand filter
4. Parboiling

Correct answer: 1. Nalgonda technique